Which of the following statements about nateglinide is TRUE?
1. It is a long acting oral hypoglycemic drug
2. Taken just before a meal, it limits post prandial hyperglycemia in type 2 diabetes mellitus
3. It cannot be used in patients with renal impairment
4. It acts by opening K+ channels in myocytes and adipocytes

Correct answer: 2. Taken just before a meal, it limits post prandial hyperglycemia in type 2 diabetes mellitus

Explanation: * Nateglinide and Repaglinide are short acting oral hypoglycemic agents. * These are used to limit the post-prandial hyperglycemia. * Like sulfonylureas, these drugs also act by blocking K+ channels in the b-cells of pancreas that lead to depolarization and release of insulin. It can be used in patients with renal impairment and in the elderly.